'Bed of stomach' is formed by all except:
1. Pancreas
2. Duodenum
3. Left kidney
4. Left suprarenal gland

Correct answer: 2. Duodenum

Explanation: Ans: b (duodenum)Ref: Chaurasia, 3rd edi., Vol-2, Pg. 209Bed of stomach is formed by:Diaphragm Left kidney Left suprarenal Pancreas Transverse mesocolon Splenic flexure Splenic artery